A 30-year-old female comes with hypovolemic shock after blunt trauma of the abdomen. An emergency USG of the abdomen shows a splenic tear. Which of the following is to be done -
1. CECT of the abdomen
2. Diagnostic lavage of peritoneal cavity before proceeding
3. Monitor patient to assess for progression
4. Immediate surgery

Correct answer: 4. Immediate surgery